A 45year old patient is having FBS 111mg/dl, PPBS 181mg/dl, HbA1C 6.1%. The diagnosis is
1. Pre diabetes
2. Type 2 DM
3. Type 1 DM
4. Stress hyperglycenia

Correct answer: 1. Pre diabetes

Explanation: Ref - DAVIDSOSN 23E P748